Which of the following is NOT associated with elevation Right hemi-diaphragm:
1. Amebic abscess
2. Pyogenic abscess
3. Cholecystitis
4. Sub diaphragmatic abscess

Correct answer: 3. Cholecystitis

Explanation: Ans. (c) CholecystitisCholecystitis is inflammation of gall bladder wall.Radiological evaluation does not show elevation of right hemidiaphragm in these cases.AMOEBIC LIVER ABSCESS* Chest radiographs are abnormal in the majority of patients with amebic hepatic abscesses. Findings include elevation of the right hemi-diaphragm, right pleural effusion, atelectasis in the region of the base of the right lung, and a right pleural effusion.PYOGENIC LIVER ABSCESS* Chest radiographs are abnormal in half of patients with pyogenic liver abscesses, reflecting an underlying inflammatory process. The most frequent findings include a right pleural effusion, elevation of the right hemi-diaphragm, and atelectasisIn case of subdiaphragmatic abscess also, there is elevation of right hemi-diaphragm.